The drug of choice for the empirical treatment of meningococcal meningitis is:
1. Piperacillin
2. Ceftriaxone
3. Ampicillin
4. Meropenem

Correct answer: 2. Ceftriaxone

Explanation: Meningococcal Meningitis:- Treatment : Empirical treatment : Ceftriaxone Definitive: penicillin G Prophylactic: Ceftriaxone, Ciprofloxacin Rifampicin is not use these days due to high resistance. Ceftriaxone:- injectable Ciprofloxacin- Oral